Tinel sign is used for depecting ?
1. To assess the severity of damage of nerve
2. To classify the type of nerve injury
3. To locate the site of nerve injury
4. To assess the recovery

Correct answer: 4. To assess the recovery

Explanation: Tinel's sign is an important sign ,which helps in recording the rate of regeneration of nerve clinically . Procedure: gentle percussion is done along the course of injured nerve . Tingling sensation is experienced by the patient in the distribution of injured nerve rather than the area percussed , & the sensation should persist for several seconds following the stimulation .Positive tinel's sign indicate regenerating axonal sprouts have not obtained myelinization .Response fades as myelinization take place . Distal progression of response & rate of progression have been used by some to establish the prognosis ( rate of recovery should be 3cm / month) Presence of this sign is encouraging . Even a few regenerating sensory fibres can result in positive tinel's sign . REF:textbook of orthopedics, John ebenezer,4th edition, pg .no. 333